The shape of arterial pulse is influenced by
1. Viscosity of blood
2. Velocity of blood
3. Arterial wall expansion
4. Cross sectional area of artery

Correct answer: 3. Arterial wall expansion

Explanation: The pressure wave generated by the ventricles expand the arterial walls as it travels, this expansion of arterial vessel wall is felt as a pulse Ref: Ganong 25th ed/page 541